Stop codon
1. UAG
2. UCA
3. UAC
4. AUG

Correct answer: 1. UAG

Explanation: They do not code for any amino acid Mark the end of protein synthesisOther stop codons are UAA UGARef: DM Vasudevan, 7th edition, page no: 599